Alport syndrome is associated with defect in:
1. Type I collagen fibers
2. Type II collagen fibers
3. Type III collagen fibers
4. Type IV collagen fibers

Correct answer: 4. Type IV collagen fibers